CANCA Positivity is specific for:
1. Polyarteritis Nodosa
2. Wegener's granulomatosis
3. Henoch shontein purpura
4. Churg strouss syndrome

Correct answer: 2. Wegener's granulomatosis

Explanation: Answer is B (Wegener's granulomatosis): CANCA refers to Cytoplasmic Antineutrophilic cytoplasmic antibodies and its presence is highly specific for Wegener's granulomatosis